Boxer's fracture is ?
1. Radial styloid fracture
2. Reverse colle's fracture
3. 5th metacarpal fracture
4. 1st metacarpal fracture

Correct answer: 3. 5th metacarpal fracture

Explanation: Ans. is 'c' i.e., 5th metacarpal fracture Eponym Fractures of Upper limb Montegia fracture dislocation Fracture of the proximal third of ulna with radial head dislocation. Galeazzi fracture dislocation Fracture of the distal third of the radius with dislocation of the distal radio-ulnar joint Colle's fracture Fracture at cortico-cancellous junction of the distal-end of radius with dorsal tilt. Bennet's fracture Oblique intra-articular fracture of the base of the 1st metacarpal Night stick fracture Isolated fracture of the shaft of the ulna Smith's fracture A fracture of distal end of radius at cortico-cancellous junction with ventral tilt and displacements (reverse Colle's fracture). Barton's fracture A vertical, marginal intra-articular fracture of the distal end of radius occurring with volar or dorsal displacement. Chauffeur fracture An intra-articular oblique fracture of the styloid process of the radius. Boxer's fracture A fracture through the neck of the 5th metacarpal.